Neurofibrillary tangles with senile plaques are seen in :
1. Parkinson's disease
2. Alzheimer's disease
3. Schizophrenia
4. Tuberous sclerosis

Correct answer: 2. Alzheimer's disease

Explanation: B i.e. Alzheimer's disease